During Bennett movement or shift of mandible:
1. Condyle of working side exhibit bodily forward movement
2. Condyle of non working side exhibit bodily lateral movement
3. Condyle of working side exhibit bodily lateral movement
4. Condyle of working side exhibit bodily lateral and forward movement

Correct answer: 3. Condyle of working side exhibit bodily lateral movement